For PCR which of the following is not required
1. Taq polymerase
2. d-NTP
3. Primer
4. Radiolabelled DNA probe

Correct answer: 4. Radiolabelled DNA probe

Explanation: Taq polymerase: It is a heat stable enzyme used in polymerase chain reaction Primer: it is a small sequence of 20 t0 30 base pairs used in PCR dNTP s : they are deoxy nucleoside triphosphates which help in DNA synthesis Ref: Guyton and Hall textbook of medical physiology 12th edition, chapter : 20